True for effect of smoking on prognosis of periodontal diseases following scaling and prophylaxis is
1. Increase in clinical attachments
2. Increase in width of attached gingiva
3. Reduction in negative influence of smoking due to increased level of plaque control
4. Increase in neutrophilic response

Correct answer: 3. Reduction in negative influence of smoking due to increased level of plaque control